All of the following are seen in ante-mortem burns except:
1. Decreased enzymes
2. Vesicle
3. Inflammatory red line
4. CarboxyHb in blood

Correct answer: 1. Decreased enzymes

Explanation: Decreased enzymes